Cholinomimetic drugs can be used for the treatment of all the following conditions except.
1. Closed angle Glaucoma
2. Bradycardia
3. Cobra bite
4. Myasthenia gravis

Correct answer: 2. Bradycardia

Explanation: Ans. (B) Bradycardia(Ref KDT 8th/e p114)Cholinomimetic drug will cause bradycardia as an adverse effect and thus cannot be used for its treatment.